All of following are causes of bronchopulmonary dysplasia except –
1. Oxygen toxicity
2. Theophyline use
3. Traumatic damage to lungs
4. Pulmonary odema due to capillary damage

Correct answer: 2. Theophyline use

Explanation: Ironchounimonary dvspiasia (EPD) 


BPD is a result of lung injury in infants requiring mechanical ventilation and supplemental oxygen.
Most of the children with BPD are premature and have hyaline membrane disease. But, BPD can also occur in full term newborns with meconium aspiration or persistent pulmonary hypertension.

Pathogenesis,

The premature lung makes insufficient functional surfantant and the antioxidant defence mechanisms are not sufficiently mature to protect the lung from the toxic oxygen metabolites generated from oxygen therapy.